Triplet repeat is seen in all EXCEPT
1. Fragile-x syndrome
2. Huntington's disease
3. Friedreich's ataxia
4. Cystic fibrosis

Correct answer: 4. Cystic fibrosis

Explanation: (D) Cystic fibrosis